In high altitude mountain sickness, feature of pulmonary edema isa) Decreased pulmonary capillary permeabilityb) Increased pulmonary capillary pressurec) Normal left atrial pressured) Increases left ventricular back pressure
1. a
2. c
3. ac
4. bc

Correct answer: 4. bc

Explanation: At high altitudes, there is pulmonary vasoconstriction leading to pulmonary hypertension. This results in leakage of fluid to the pulmonary tissue ending up in pulmonary edema. Since there is pulmonary hypertension, there is a resultant back pressure on right ventricle.